"Rosette-shaped cataract" is seen in:
1. Trauma
2. Diabetes Mellitus
3. Hypertension
4. Complicated cataract

Correct answer: 1. Trauma

Explanation: Ans. A. Trauma. (Ref Parsons' diseases of Eye 21th/pg. 383)WOUNDS OF THE LENS:If the trauma to lens is small, the entry of aqueous causes a localized cloudiness in its vicinity and, irrrespective of the site of the wound, opacities in the form of feathery lines appear in the posterior cortex, which later develop into a rosette- shaped cataract resembeling that of early concussion cataract. The Rx of traumatic cataract associated with penetrating wounds, especially if complicated with vitreous loss, is by the use of vitrectomy instrument. Adequate steps are important to control the infection and inflammation with antibiotics and topical steroids. Two special infections - Clostridium welchii and tetani should be noted.